Vaginal delivery is contraindicated in :
1. Central placenta praevia
2. Previous LSCS
3. Eclampsia
4. Antepartum hemorrhage

Correct answer: 1. Central placenta praevia

Explanation: Central placenta praevia